Atracurium is metabolized and excreted by
1. Kidney
2. Liver
3. Brain
4. Hoffman's elimination

Correct answer: 4. Hoffman's elimination

Explanation: Ans. d (Hoffman's elimination). (Ref. Harrisons, Medicine, 18th/735)ATRACURIUM BESYLATE# Long acting and non-depolarising muscle relaxant.# Muscle relaxant of choice in renal failure or anephric patients.# pH of solution is 3.5.# Stored at 4degC.# Duration of action doubled at 25degC.# Metabolism mainly by Hofmann elimination (a chemical degradation) and hydrolysis in plasma and elsewhere in body.# Major metabolite is laudanosine, which is CNS- stimulant.